Best prognostic factor for head injury is
1. A.Glasgow coma scale
2. B.Age
3. C.Mode of injury
4. D.CT

Correct answer: 1. A.Glasgow coma scale

Explanation: The severity of head injury is classified according to glassglow coma scale(GCS) as it is the best predictor of neurological outcome. Mode of injury and age of the patient help in initial evaluation and management, CT helps in confirmation of the diagnosis. Their prognostic value is less when compared to GCS. Reference: Bailey and Love's Short Practice of Surgery, 26th edition, Pg no:313